Tap water scotochromogen is
1. Mycobacterium chelonae
2. Mycobacterium marinum
3. Mycobacterium kanasaii
4. Mycobacterium gordonae

Correct answer: 4. Mycobacterium gordonae

Explanation: M.gordonae often found in tap water (hence called 'the tap water scotochromogen'), is a common contaminant in clinical specimens and a rare cause of pulmonary disease. It differs from scrofulaceum in failing to hydrolyse urea, nicotinamide and pyrazinamide. Ref: Textbook of microbiology; Ananthanarayan and paniker's; 10th edition; Pg: 367